Which biochemical reaction does not occur in the mitochondria:
1. Kreb's cycle
2. Urea cycle
3. Gluconeogenesis
4. Fatty acid synthesis

Correct answer: 4. Fatty acid synthesis

Explanation: D i.e. Fatty acid synthesis